Woman of30 years with Raynaud's phenomenon, polyarthritis, dysphagia of 5-years and mild Sclerodactyl, blood showing Anti-centromere antibody positive, the likely cause is -
1. CREST
2. Mixed connective tissue disorder
3. SLE
4. Rheumatoid arthritis

Correct answer: 1. CREST

Explanation: Ans. is 'a' i.e., CREST Patients scleroderma are typically classified based on the amount and location of skin involvement.SclerodermaDiffuse sclerodermaLimited sclerodermao Widespread skin involvementQo Rapid progression and early- visceral involvementQo Limited skin involvement, confined to fingers, forearms and faceo Slow progression, visceral involvement occurs late, some patients with limited disease also develop CREST syndrome which is a combination of C- Calcinosis distal : subcutaneous calcifications of fingers and along extensor surface of forearm R- Raynaud phenomenon E- Esophageal dysmotility S- Sclerodactyly (skin thickening limited to fingers) T- Telengiectasia (dilated capillaries)Age group in systemic sclerosiso Systemic sclerosis is primarily a disease of womenQ (F/M = 3:1).